Drug used for trabeculectomy
1. Mitomycin-C
2. Azathioprine
3. Cituximab
4. Ketorolac

Correct answer: 1. Mitomycin-C

Explanation: The main reason of failure of trabeculectomy surgery is scarring and closure of drainage site
 Antimetabolites prevent scarring and can be used to increase the success rate of trabeculectomy
 The most commony used antimetabolites are mitomycin-C and 5-fluorouracil.